PK reaction detects
1. IgG
2. IgA
3. IgE
4. IgM

Correct answer: 3. IgE

Explanation: The Prausnitz-Kustner test is an immunologic test formerly used by physicians to determine if a patient has an allergic reaction to a specific antigen. IgE is homocytotropic i.e. species specific. Only human IgE can fix to the surface of human cells. This is the basis of Prautnitz- Kustner reaction, which was the original method of detecting atopic antibody. Examples of Type I Hypersensitivity Reaction.